J-receptors which are responsible for rapid shallow breathing is located in
1. Thoracic cage and lung
2. Carotid artery
3. Alveoli-capillary junction
4. Aorta

Correct answer: 3. Alveoli-capillary junction

Explanation: Receptors in the airways and lungs are innervated by myelinated and unmyelinated vagal fibers. The unmyelinated fibers are C fibers. The receptors innervated by myelinated fibers are commonly divided into slowly adapting receptors and rapidly adapting receptors on the basis of whether sustained stimulation leads to prolonged or transient discharge in their afferent nerve fibers. Because the C fiber endings are close to pulmonary vessels, they have been called J (juxtacapillary) receptors. They are stimulated by hyperinflation of the lung, but they respond as well to intravenous or intracardiac administration of chemicals such as capsaicin. The reflex response that is produced is apnea followed by rapid breathing, bradycardia, and hypotension (pulmonary chemoreflex)Ref: Ganong Review of Medical Physiology 23rd edition Page no: 632